A diagnostic test for a particular disease has a sensitivity, of a 0.90 and a specificity of 0.80. A single test is applied to each subject in the population in which the diseased population is 30%. What is the probability that a person, negative to this test, has no disease -
1. Less than 50%
2. 70%
3. 95%
4. 72%

Correct answer: 3. 95%

Explanation: Ans. is 'c' i.e., 95% o The probability of not having a disease after a negative screening test is measured by negative predictive value.